Diuretic causing impaired glucose tolerance is ?
1. Triamterene
2. Acetazolamide
3. Amiloride
4. Thiazide

Correct answer: 4. Thiazide

Explanation: Ans. is'd'i.e., ThiazideRef KDT &/e p. 567; Katung If le p. 261Diuretics causing hyperglycemia are loop diuretics (furosemide) and thiazide diuretics.